30 year old male comes with h/o acute breathlessness. JVP ↑ sed inspiratory fall of BP by 14 mmHg true about this condition-a) Kussmaul signb) Low electric ECGc) Rapidly discentd) Inspiratory fall of systemic fall of more than 10 mmHg
1. c
2. d
3. bd
4. ac

Correct answer: 3. bd